Ferritin - an inactive form of iron is stored in
1. Gut
2. Spleen
3. Liver
4. All of the above

Correct answer: 4. All of the above

Explanation: Ferritin is a protein that is important in the metabolism of iron. Under normal conditions, it stores iron that can be called upon for use as conditions require. In conditions of excess iron (eg, hemochromatosis), body stores of iron are greatly increased and much more ferritin is present in the tissues, such as the liver,bone marrow and spleen. Absorption of iron: Fe3+ is converted to Fe2+ by ferric reductase, and Fe2+ is transported into the enterocyte by the apical membrane iron transporter DMT1. Heme is transported into the enterocyte by a separate heme transporter (HT), and heme oxidase (HO) releases Fe2+ from the heme. Some ofthe intracellular Fe2+ is converted to Fe3+ and bound by ferritin. Reference : Harpers 30th edition , chapter Plasma proteins and immunoglobulins.